Drug of choice for late cisplatin induced vomiting is
1. Omeprazole
2. Granisetron
3. Aprepitant
4. Dexamethasone

Correct answer: 3. Aprepitant

Explanation: Anti - Emetic Drugs:- - Neurokinin antagonist (NK1antagonist / Substance-P antagonist) Aprepitant Fosaprepitant Rolapitant Netupitant - These are drug of choice for delayed vomiting due to chemotherapy